Which of the following statement is true regarding inverse agonists?
1. Binds to receptor and causes intended action
2. Binds to receptor and causes opposite action
3. Binds to receptor and causes no action
4. Binds to receptor and causes submaximal action

Correct answer: 2. Binds to receptor and causes opposite action

Explanation: Inverse agonist activates a receptor to produce an effect in the opposite direction to that of an agonist. It has high affinity for the receptor, but intrinsic activity with a minus sign. Ref: Essentials of Medical Pharmacology By KD Tripathi, 5th Edition, Pages 35, 37